A child presented with cola coloured urine, pro?teinuria 2+ & h/o rash 2 week ago. Probable Dx is ?
1. IgA nephropathy
2. HSP
3. HUS
4. Wegener Granulomatosis

Correct answer: 2. HSP

Explanation: Ans is 'b' i.e., HSP o This patient has developed hematuria (cola coloured urine) 2 weeks after an upper respiratory tract infection (there is history of rash and most of the URTIs have rash in their clinical course e.g. measles, chicken pox etc.) o Hematuria after URTI: (i) After 2 days --> IgA nephropathy (ii) After 10 days - 2 weeks --> HSP, PSGN.